Chronic radiation proctitis is associated with the treatment of all malignancies, EXCEPT:
1. Carcinoma cervix
2. Carcinoma testes
3. Carcinoma prostate
4. Carcinoma small bowel

Correct answer: 4. Carcinoma small bowel

Explanation: Chronic radiation proctitis is a troublesome complication occurring in 5%-20% of patients following pelvic radiotherapy. It was done for carcinoma of the prostate, rectum, urinary bladder, cervix, uterus and testes. Carcinoma small bowel is a rare condition and it is mainly adeno carcinoma which is not treated ith radiotherapy. Ref: World J Gastroenterol 2011 November 7; 17(41): 4554-4562.